Percutaneous vertebroblasty is indicated in all except -
1. Tuberculosis
2. Metastasis
3. Osteoporosis
4. Hemangioma

Correct answer: 1. Tuberculosis

Explanation: Tuberculous osteomyelitis is a contraindication for percutaneous vertebroplasty.